In retinal detachment
1. Effusion of fluid into the suprachoroidal space
2. Retinoschisis
3. Separation of sensory retina from pigment epithelium
4. None of the above

Correct answer: 3. Separation of sensory retina from pigment epithelium

Explanation: Ans. (c) Separation of sensory retina from pigment epitheliumRef: Kanski 7/e, p. 689, 701* Retinal detachment: Separation of NSR from RPE, leading to accumulation of fluid in sub retinal spaceRetinoschisis (splitting of retina)Typical/degenerative split in OPLReticular/congential split at NFL